Child protection scheme is under which ministry -
1. Ministry of health and family welfare
2. Ministry' of Social welfare
3. Ministry' of women and child development
4. Ministry of education

Correct answer: 3. Ministry' of women and child development

Explanation: Ans. is 'c' i.e., Ministry of women and child developmento In 2006 the Ministry' of Women and Child Development (MWCD) proposed adoption of Integrated Child Protection Scheme (ICPS).o In 2009 the central government take the scheme its approval and has begun the extensive task of providing children with a protective and safe environment to develop and florish.o The purpose of the scheme is to provide for children in difficult circumstances, as well as to reduce the risks and vulnerabilities children have in various situations and actions that lead to abuse, neglect, exploitation, abandonment and separation of children.